A 50-year-old man suffering from carcinoma of prostate showed areas of sclerosis and collapse of T10 and T 11 vertebrate was most probably through
1. Sacral canal
2. Lymphatic vessel
3. Internal vertebral plexus of veins
4. Superior rectal

Correct answer: 3. Internal vertebral plexus of veins

Explanation: Communication exists between prostatic &vertebral venous plexus through which prostatic carcinoma spread to vertebral column.